An 18-year-old woman had severe acne for 3 years. She has tried many topical therapies for acne scars, but noticed little benefit. On examination, she has multiple scars associated with pitting on her face. Which of the following can not be used for chemical peeling ?
1. Glycolic acid
2. Lactic acid
3. Trichloroacetic acid
4. Sulphuric acid

Correct answer: 4. Sulphuric acid

Explanation: Chemical peels are used for acne scars. Agents used are Pyruvic acid Glycolic acid Malic acid Citric acid Lactic acid Tartaric acid Salicylic acid Trichloroacetic acid Mandelic acid Jessners soluion - Combination of Salicylic acid+ lactic acid+ resorcinol